In pemphigus vulgaris, antibodies are present against
1. Basement membrane
2. Intercellular substance
3. Cell nucleus
4. Keratin

Correct answer: 2. Intercellular substance

Explanation: B i.e. Intercellular substance